All of the following are contraindications for breast conserving surgery except
1. Tumours more than 4cm in size
2. Multicentricity
3. Centrally located tumour
4. Prior neoadjuvant chemotherapy

Correct answer: 4. Prior neoadjuvant chemotherapy

Explanation: Answer- D. Prior neoadjuvant chemotherapyInvolves resection of the primary breast cancer with a margin of normal-appearing breast tissue, adjuvant radiation therapy with or without assessment of axillary lymph node status.